In a pregnant female which drug is strictly contraindicated?
1. Streptomycin
2. Isoniazid
3. Cephalosporins
4. Penicillin

Correct answer: 1. Streptomycin

Explanation: Ref: Goodman & Gillman 13th ed. P 1045; Harrison 20th edition, Page 1112* Streptomycin is highly ototoxic (vestibulotoxic >> Cochleotoxic) and nephrotoxic drug.* It is strictly contraindicated throughout the pregnancy.Drugs during pregnancy Drugs safe in pregnancyDrugs contraindicated in pregnancy (Safety uncertain)* Anti-tubercularIsoniazid, Rifampicin, Pyrazinamide, EthambutolStreptomycin* AntiamoebicDiloxanide furoate, paromomycinMetronidazole, Tinidazole, Quiniodochlor* AntimalarialChloroquine, Mefloquine, Proguanil, Quinine (only in 1st trimester)Primaquine* AntifungalTopical:Clotrimazole, Nystatin, TolnaftaneAmphotericin B, Fluconazole, Itraconazole, Ketoconazole, Griseofulvin* Anti allergiesChlorpheniramine,PromethazineCetirizine, Loratadine, Fexofenadine* Anti bacterialsPenicillin G,Ampicillin,Amoxicillin- clavulanate,cloxacillin,Piperacillin,Cephalosporins,ErythromycinCotrimoxazole,Fluoroquinolones,Tetracycline,Doxycycline,Chloramphenicol,Kanamycin,Tobramycin,Clarithromycin,Vancomycin* Antiviral-Ganciclovir, Foscarnet, Amantadine, Vidarabine, a-interferon* Anti-retroviralZidovudine, Lamivudine, tenofovir, Nelfinavir, Nevirapine, Saquinavir, EfavirenzDidanosine, Abacavir, Indinavir, Ritonavir* Anti-diabeticInsulin (preferably human insulin)Sulfonylureas, metformin, Acarbose, pioglitazone, Repaglinide* Thyroid drugsPropylthiouracilCarbimazole, Radioactive iodine (X), Iodide